Trickling filter is used in –
1. Primary treatment of sewage
2. Scondary treatment of sewage
3. Oxygen ponds
4. Sewage farming

Correct answer: 2. Scondary treatment of sewage